Treatment of annular pancreas is -
1. Conservative
2. Gastrojejunostomy
3. Duodenoduodenostomy
4. Removal of compressing part of pancreas

Correct answer: 3. Duodenoduodenostomy